Hemophia A due to deficiency of ?
1. Factor VIII
2. Factor IX
3. Factor X
4. Factor XI

Correct answer: 1. Factor VIII

Explanation: Ans. is 'a' i.e., Factor VIII Hemophila A :? Hemophilia A is due to deficiency of factor VIII. Hemophilia A is inherited as an X-linked recessive trait. Factor VIII is an intrinsic pathway component required for activation of factor X. Clinical manifestations are due to defect in coagulation system :- Large post traumatic ecchymoses or hematoma. Prolonged bleeding after a laceration or any form of surgical procedure. Bleeding into weight bearing joints. Petechiae are characteristically absent (in contrast to platelet dysfunction where bleeding occur from small vessels of skin and mucous membrane, e.g., petechiae). Laboratory findings :- T PTT Normal PT Normal BT Normal platelet counts Remember Hemophilia B (christmas disease) is due to deficiency of factor IX. Hemophilia B has clinical features and laboratory findings similar to hemophilia A.